Follicular carcinoma of thyroid is best treated by
1. Hemi thyroidectomy
2. Near total thyroidectomy
3. Sub total thyroidectomy
4. Radiotherapy alone

Correct answer: 2. Near total thyroidectomy